What is NOT a feature of Sturge Weber syndrome :
1. Rail track appearance
2. Herniatrophy of the brain
3. Convulsion
4. Empty sella

Correct answer: 4. Empty sella

Explanation: Answer is D (Empty sella): The clinical hallmark in the form of convulsions, Rail road tract appearance on X-ray and unilateral cortical atrophy (hemiatrophy) on CT scan are diagnosis of Sturge-Weber syndrome. Sturge weber syndrome It results from the anomalous development of primordial vascular bed during early stages of cerebral vascularization. The leptomeninges are richly vascularized and the brain beneath becomes atrophied and calcified, particularly in molecular layer of cortex